Patent formen ovale is due to failure of fusion of-
1. Ostium primum with Endocardial cushion
2. Ostium primum with Ostium Secundum
3. Ostium primum with Septum pnmum
4. Septum primum with septum secundum

Correct answer: 4. Septum primum with septum secundum

Explanation: Cessation of placental blood flow and the beginning of respiration leads to changes in the vascular system at birthStructure/Vessel Remnant (In Adults) Timing of Closure Ductus arteriosus Ligamentum arteriosumQ Almost immediately after birth, by bradykirdn (released during inital inflation of lung) mediated contraction of muscular wall. Actual obliteration takes 1-3monthsUmbilical arteries - Distal part form medial umbilical ligaments - Proximal portion remains open as superior vesical arteriesFew minutes after birth (d/t thermal, mechanical & 02 tension change), athough actual fibrous obliteration may take 2-3 monthsUmbilical vein (left) Ductus venosus Ligamentum teres hepatis Ligament venosum Occurs shortly after that of umbilical arteriesSeptum prinum Septum secundum (lower free edge)Fossa ovalis Annulus ova us The first breath causes increased left atrial pressure pressing the septum primum against septum secundum Vt closure of ovalforamen. During 1st day its reversible and complete fusion takes about 1 year